Acetyl salicylate & phenobarbitone are better absorbed from stomach because they are-
1. Weak acids remain non-ionic in gastric pH
2. Weak acids remain ionic in gastric pH
3. Strong acids fully ionised in gastric pH
4. Weak bases which are ionised at gastric pH

Correct answer: 1. Weak acids remain non-ionic in gastric pH

Explanation: Ans. is 'a' i.e., Weak acids remain non-ionic at gastric pH Remember simple funda : When the medium is same drugs can cross the membrane: i) Acidic drugs can cross the membrane in acidic medium, i.e., acidic drugs are unionized at acidic pH and are lipid soluble --> so, in stomach acidic drugs are absorbed. ii) Basic drugs can cross the membrane in basic medium, i.e., basic drugs are unionized at alkaline pH and are lipid soluble --> so, in intestine basic drugs are absorbed.